Most common cause of cervical insufficiency is
1. Idiopathic
2. Previous dilatation
3. Exposure to DES
4. Conization

Correct answer: 1. Idiopathic

Explanation: The most common cause of cervical insufficiency is idiopathicCervical incompetence may be congenital due to the following:Mullerian anomaliesCollagen disordersExposure to DES or the causes may be acquiredObstetric trauma like cervical laceration during deliveryMechanical dilatationCervical Conization